Mifepristone (RU-486) is -
1. Anti-androgen
2. Anti-estrogen
3. Anti-progestin
4. Androgen

Correct answer: 3. Anti-progestin

Explanation: Ans. is 'c' i.e., Anti-progestin oRt Mifepristone is primarily an anti-progestin, though it also has anti-androgen and antiglucocorticoid activity.